True about Monoclonal antibody:
1. Produced by hybridoma technology
2. Used for blood grouping
3. Requires in small quantity
4. All

Correct answer: 4. All

Explanation: A i.e. Produced by hybridoma technology; B i.e. Used for blood grouping; C i.e Requires in small quantity